Which of the following is not mediated through negative feedback mechanism
1. BP
2. GH formation
3. Thrombus formation
4. ACTH release

Correct answer: 3. Thrombus formation